Treatment for fracture neck of femur in a 70 year old patient with avascular necrosis of head of femur?
1. Total hip replacement
2. Total knee replacement
3. Unicondylar knee replacement
4. Hemiarthroplasty

Correct answer: 1. Total hip replacement

Explanation: THA (Total Hip Arthroplasty) is usually indicated for the patients with a femoral neck fracture who meet the following criteria: Poor general health or frailty. Pathological hip fracture. Severe osteoporosis. Inadequate closed reduction. Displaced fracture that is several days old. Pre-existing hip disease (eg, rheumatoid arthritis, avascular necrosis)(of any age)